Which hormone is converted into active form in liver-
1. Corticosteroid
2. ACTH
3. Thyroid hormone
4. Estradiol

Correct answer: 3. Thyroid hormone

Explanation: Ans. is 'c' i.e., Thyroid hormoneo Thyroxine (T4) is converted to T3 (active form) in liver (majority) and kidney